Which of the following hepatitis is associated with higher mortality in pregnancy?
1. Hepatitis A
2. Hepatitis B
3. Hepatitis C
4. Hepatitis E

Correct answer: 4. Hepatitis E

Explanation: HEPATITIS-E: Calcivirus HEV in pregnancy: fulminant form of hepatitis E infection is seen during pregnancy with high case fatality rate HEV is essentially a waterborne disease; Feco-oral route of transmission Incubation period: 21-45 days Also Remember, Hepatitis type Type Incubation period Route of transmission A Entero-virus 72 15-45 Days Feco-oral route - MC in children in India B HepaDNA virus 45-180 Days Blood, sexual, parenteral C Hepaci virus 30-120 days Blood, sexual, parenteral D Viroids like 30-90 days Blood, sexual, parenteral